Hardness of water is contributed by following salts except –
1. Calcium gluconate
2. Magnesium chloride
3. Calcium sulfate
4. Magnisum bicarbonate

Correct answer: 1. Calcium gluconate